A village is divided into five relevant subgroups for the purpose of a survey. Individuals from each subgroup are then selected randomly. This type of sampling is termed as:
1. Simple Random sampling
2. Stratified sampling
3. Cluster Sampling
4. Systematic Sampling

Correct answer: 2. Stratified sampling

Explanation: Stratified samples are used when fixed numbers are needed from particular sections or strata of the population in order to achieve balance across certain important factors. The scenario as seen in this question, shows a study in which a random sample of equal number of individuals are drawn from each of five relevant subgroups of a village, to provide a set of estimates with equal precision for each subgroup. Ref: Preventive and Social Medicine, By K.Park, 19th edition, Page 702; Oxford Handbook of Medical Statistics, By Janet L. Peacock, Philip J. Peacock, Oxford University Press 2011, Page 55.